All are major symptoms of sinusitis except
1. Nasal blockage
2. Facial congestion
3. Nasal congestion
4. Halitosis

Correct answer: 4. Halitosis

Explanation: According to Rhinosinusitis task force definition of sinusitis,Major criteria-Facial pain, pressure, congestion, nasal obstruction, nasal/postnasal discharge, hyposmia and feverMinor criteria- Headache, halitosis, and dental painRef: Hazarika; 3rd ed; Pg 328